A diabetic patient with bilateral renal artery stenosis requires a drug for the treatment of high blood pressure. Which of the following drugs will be most appropriate for this patient?
1. Hydrochlorothiazide
2. Metoprolol
3. Enalapril
4. Amlodipine

Correct answer: 4. Amlodipine